True about causative agent of MALTA FEVER is:
1. Gram-positive, motile, nonspore-forming, rod-shaped (coccobacilli) bacteria
2. Patients present with undulant fevers, sweating (often with characteristic foul, moldy smell sometimes likened to wet hay), and migratory arthralgia and myalgia
3. A nasopharyngeal or an oropharynx swab is sent to the bacteriology laboratory for Gram stain.
4. Treated by macrolides

Correct answer: 2. Patients present with undulant fevers, sweating (often with characteristic foul, moldy smell sometimes likened to wet hay), and migratory arthralgia and myalgia

Explanation: Malta fever Causative agent- brucella Gram-negative, non motile, non spore-forming, rod-shaped (coccobacilli) bacteria. C/F- classical triad of undulant fevers, sweating often with characteristic foul, moldy smell sometimes likened to wet hay Migratory arthralgia and myalgia LAB DIAGNOSIS:- blood culture in biphasic blood culture media(casteneda's), add erythrol improve growth D.O.C:-DOXYCYCLINE